Ankle joint is-
1. Plain joint
2. Hinge joint
3. Pivot joint
4. Ball and socket joints

Correct answer: 2. Hinge joint

Explanation: (B) (Hinge Joint) (147-BDC-2 6th edition)Classitication of synovial joint (15-16-Snelf7th)Plane jointsHinge jointsPivot jointsCondyloid jointeg. Sternoclavicular Acromioclaviculareg. Elbow JtKnee Jt *Ankle Jteg. Atlanto axialSuperior radioulnar jointsEg. Matacarpophal angeal or Knuckle JtEllipsoid jointSaddle JointBall and Socket jointseg: - Wrist jointeg. Carpometacarpal joint of the thumbEg: - Shoulder jointHip joints* Gomphosis (Peg and Socket joint) examples tooth in its socket* Cartilaginous jointsPRIMARY CARTILAGINOUS JOINTS(Synchondrosis or hyaline cartilage jointsSecondary cartilaginous joints(Symphyses or Fibro cartilaginous joints)* The bones are united by a plate of hyaline cartilage, so that the joint is immovable and strong* These joints are temporary in nature because after a certain age the cartilaginous plate is replaced by bone (Synostosis)* The articular surface are covered by a thin layer of hyaline cartilage and united by a disc of fibro cartilage* These joints are permanent and persist throughout life. In this respect symphysis menti is a misnomer, Typically the secondary cartilaginous joints occur in Primary cartilaginous joint(Synchondrosis)Examplesa) Joint between epiphysis and diaphysis of a growing long bonesb) Spheno-occipital jointc) First chondrostemal jointd) Costo-chondral jointsthe median plane of the body, and permit limited movements due to compressible pad of fibrocartilage, and the occasional fluid filled cavities, such as in the pubic and manubriostemal joints; the thickness of fibrocartilage is directly related to the range of movement* Secondary cartilage joints may represent an intermediate stage in the evolution of svnovial iointsSecondary cartilaginous jointExamples(a) Symphysis pubis(b) Manubriostemal joint(c) Intervertebrals between the vertebral bodies